As per WHO low birth weight is defined as
1. Gestational age < 34 weeks
2. Birth weight < 10th percentile
3. Birth weight less than 2.5 kg
4. Gestational age < 28 weeks

Correct answer: 3. Birth weight less than 2.5 kg